The following ocular structure in not derived from surface ectoderm:
1. Crystalline lens
2. Sclera
3. Corneal epithelium
4. Epithelium of lacrimal glands

Correct answer: 2. Sclera

Explanation: B i.e. Sclera